Most common type of melanoma
1. Nodular melanoma
2. Superficial spreading melanoma
3. Lentigo maligna melanoma
4. Acral lentigious melanoma

Correct answer: 2. Superficial spreading melanoma

Explanation: Superficial spreading melanoma (SSM) This is the most common presentation (70%), usually arising in a pre-existent naevus after several years of slow change, followed by rapid growth in the preceding months before presentation.Ref: Bailey and Love, 27e, page: 609